A 35 - year old male develops involvements of PIP,DIP and metacarpo phalangeal joints with sparing of wrist and carpometacarpal joints. The probable diagnosis is -
1. Psoriatic arthopathy
2. Osteo arthritis
3. Rheumatoid arthritis
4. Pseudo gout

Correct answer: 1. Psoriatic arthopathy